Pulp therapy which sweet name associated with
1. Formocresol pulpotomy
2. Beech wood cresol pulpotomy
3. Non vital pulpotomy
4. Pulpectomy

Correct answer: 1. Formocresol pulpotomy